Chest wall rigidity can be caused by rapid infusion of which of the following opioid-
1. Fentanyl
2. Sufentanyl
3. Remifentanil
4. All of the above

Correct answer: 4. All of the above

Explanation: Rapid administration of larger doses of opioids (particularly fentanyl, sufantanyl, Remifentanil and alfentanyl) can induce chest wall rigidity severe enough to prevent adequate bag and mask ventilation. This is centrally mediated muscle contention is effectively treated with neuromuscular blockers.